Renal stones are seen as a complication by using the following drug
1. Tiagabine
2. Oxacarbamazepine
3. Zonisamide
4. Phenytoin

Correct answer: 3. Zonisamide

Explanation: Side effects of zonisamide are metabolic acidosis, renal stones, somnolence, dizziness, headache, irritability and anorexia. REF; KD TRIPATHI 8TH ED.